The 1929, Sarada act was enacted to abolish:
1. Dowry system
2. Child marriage
3. Sati ritual
4. Caste system

Correct answer: 2. Child marriage

Explanation: As early as 1929, the Sarada act was enacted forbidding child marriage. Ref: Park, 22nd edition pg: 446